Which of the following aren't included in the WHO classification of operating dental auxiliaries?
1. Dental hygienist
2. School dental nurses
3. Therapists
4. Denturists

Correct answer: 4. Denturists

Explanation: Non-operating auxiliaries

Dental surgery assistant
Dental secretary/receptionist
Dental laboratory technician
Dental health educator

Operating auxiliaries

School dental nurse
Dental therapist
Dental hygienist
Expanded function dental auxiliaries

Essentials of preventive and community dentistry 
Soben Peter 
5th edition